First step in synthesis of eicosanoids is?
1. Activation of lipooxygenase
2. Activation of PGH2 synthetase
3. Activation of hydrolase
4. None

Correct answer: 3. Activation of hydrolase

Explanation: Eicosanoids synthesis is governed by the rate of release of arachidonic acid from membrane lipids in response to appropriate stimuli. These stimuli activate hydrolases, including phospholipase A , which converts arachidonic acid into Prostaglandins, thromboxanes by the COX pathway or Leukotrienes and lipoxins by the LOX pathway Reference: Harpers illustrated biochemistry 31st edition Page no 224